Lipodermatosclerosis is most commonly seen at
1. Anterior aspect of leg
2. Medial aspect of leg
3. Anterior aspect if thigh
4. Posterior aspect of thigh

Correct answer: 2. Medial aspect of leg

Explanation: Lipodermatosclerosis Lipodermatosclerosis is the name given to skin changes seen in chronic venous insufficiency Components of lipodermatosclerosis Pigmented skin Inflammed Subcutaneous tissue Elevated venous pressure facilitates the Extravasation of the RBC'S and fluid leaking to inflammation The pigmentation is due to fixation of hemosiderin in the tissue It is most commonly seen in gaiter area (above medial malleous) Ref: Sabiston 20th edition Pgno : 1832